Swarm of bees appearance seen in?
1. Androgenetic alopecia
2. Anagen effluvium
3. Alopecia aerata
4. Telogen effluvium

Correct answer: 3. Alopecia aerata

Explanation: Alopecia aerata - Histopathology - Swarm of bees appearance , the lymphocytes surrounding the hair follicles same as peribulbar/perfollicular infilteration of lymphocytes